Asymmetric Moro's reflex at birth is indicative of:
1. HIE
2. Brain damage
3. Erb's palsy
4. Kernicterus

Correct answer: 3. Erb's palsy

Explanation: Ans. c. Erb's palsy